Non progressive contraction of esophagus are
1. Primary
2. Secondary
3. Tertiary
4. Quaternary

Correct answer: 3. Tertiary

Explanation: Three types of contractions in the oesophagus, they are *primary -progressive, triggered by swallowing *secondary-progressive,generated by distension,or irritation *tertiary -non-progressive Ref: SRB's manual of surgery,5th ed, pg no 788